Which among the following has maximum ionizing power
1. Neutron
2. Proton
3. X-rays
4. Alpha rays

Correct answer: 4. Alpha rays

Explanation: Ans: d (Alpha rays) Ref: Park, 19th ed, p. Harrison, 16th ed, p. 483Alpha rays is having maximum ionizing power among the above options.Most ionizing radiation - alpha raysMaximum penetrating power -beta rays (alpha < beta < gamma)Maximum scattering electrons - H+ ionsRadiation effectsPhotoelectric effect -Low energy (30-100 KeV)diagnostic radiologyCompton effect -high energy -therapeutic radiologyPair production -higher (>1.02 MeV)